Selenium dependent enzyme is?
1. Glutathione peroxidase
2. Xanthine oxidase
3. Cytochrome oxidase
4. Carbonic anhydrase

Correct answer: 1. Glutathione peroxidase

Explanation: ANSWER: (A) Glutathione peroxidaseREF: Harper 29th Ed Page 118, 201, 204, 664See Table for Cofactors of enzymes in December 2011 (Biochemistry)Repeat Biochemistry 2005. 2003, 2001, 2000The selenium-containing enzyme glutathione peroxidase will also act on reduced glutathione (GSH) and H2O2 to produce oxidized glutathione (GSSG) and H2O; this enzyme can also use other peroxides as substrates.